Hyperscretory granules seen in with lungCa
1. Adeno Ca
2. Small cell Ca
3. Large cell Ca
4. Bronchoalveolar Ca

Correct answer: 2. Small cell Ca

Explanation: Small cell carcinoma: Small cell carcinomas are frequently hilar or central in location, have strong
relationship to cigarette smoking and are highly malignant tumours. They are most often associated with ectopic
hormone production because of the presence of neurosecretory granules in majority of tumour cells which
are similar to those found in argentaffin or Kulchitsky cells normally found in bronchial epithelium. By immunohistochemistry,
these tumour cells are positive for neuroendocrine markers: chromogranin, neuron-specific enolase (NSE) and synaptophysin.